Rule of 9 in burns is used to denote :
1. Depth of burns
2. Total body surface area involved
3. Severity of burns
4. Type of burns

Correct answer: 2. Total body surface area involved

Explanation: For total body surface area of burns in adults: 'Rule of Wallace' or 'Rule of nine' 9% for each upper limb 9% each for the front and back of each lower limb, 9% for the front and back of chest, 9% for the front and back of abdomen, 9% for the head and neck and 1% for the perineum OTHER METHODS: Use of patient's hand -The area of the back of the patient's hand is approximately 1% of their total body surface area. The number of "hands" that equal the area of the burn can approximate the percentage of body surface area burned. Lund-Browder burn diagram- This allows an accurate age-adjusted determination of burn size for a given depth, allowing for the anatomical differences of children. NOTE: Lund-Browder chart method is a most precise method for estimation of burn area.